Boorheave syndrome involves perforation of esophagus after
1. Burns
2. Acid ingestion
3. Stress
4. Vomiting

Correct answer: 4. Vomiting

Explanation: Ans. is 'd' i.e., Vomiting [Ref: CSDT 13th/ep.444 & 11th/e p. 490; Schwartz 9th/ep.874 & 8th/e, p. 906; Bailey & Love 25th/e p.1014 & 24th/ep.996}* Boerhaave's syndrome is spontaneous perforation of the esophagus, occuring usually due tosevere barotrauma when a person vomits against a closed glottis. The pressure in the esophagus rapidly increases and the esophagus bursts at its weakest point, sending a stream of material into the mediastinum and often the pleural cavity as well.* Most common location of perforation is in the left posterolateral aspect 3-5 cm above the gastroesophageal junction. Second most common site of perforation is at the midthoracic esophagus on the right side.* Most cases follow a bout of heavy eating and drinking.* The principal early manifestation is pain felt in the chest and upper abdomen.